Rasmussen's aneurysm is a
1. Dilated vessel in a tubercular lung cavity
2. Dilated of the root of aorta in valvular stenosis
3. Dilated aorta in syphilitic affection
4. Dilated renal vessel in hypertensive renal disease

Correct answer: 1. Dilated vessel in a tubercular lung cavity

Explanation: In tuberculosis,hemoptysis can occur due to rupture of a dilated vessel in a tuberculous cavity.It is known as Rasmussen's aneurysm. Ref:Harrison's medicine-18th edition,page no:1345.